The absolute contraindication for prescribing normal contraceptive pills in a woman of repro ductive age group is
1. Epilepsy
2. Diabetes mellitus
3. Congenital hyperlipidemia
4. Milk hypertension

Correct answer: 3. Congenital hyperlipidemia